Which of the following statement is false about the condition depicted in given diagram ?
1. Caused by deficiency of Radial bone and thumb
2. Hand is deviated to Ulnar side .
3. Associated conditions are Holt Oram syndrome and VACTERL .
4. Preferred management is Pollicization and Centralization of ulna .

Correct answer: 2. Hand is deviated to Ulnar side .

Explanation: Radial hemimelia -Radial club hand -Deficiency of radial bone and thumb (40% of hand) - Hand deviated to radial side - Associated conditions: 1. Hold Oram syndrome 2. VACTERL Management: -Pollicization (create thumb) -Centralization of ulna